The larval form of Taenia is referred to as -
1. Cysticercus
2. Cysticercoid
3. Echinococcus
4. Conerus

Correct answer: 1. Cysticercus

Explanation: Cysticercus cellulosae: Larval stage of taenia solium Develops in the muscle of its intermediate host I.e the pig Cysticercus bovis Larval stage of taenia saginata in the muscles of its intermediate hosts I.e cow or a buffalo (refer pgno:102 baveja 3 rd edition,panikers textbook of Medical parasitology 8th edition page: 123-126)